First branch of the facial nerve is
1. Greater petrosal nerve
2. Lesser petrosal nerve
3. Chorda-tympanic nerve
4. Nerve to the stapedius

Correct answer: 1. Greater petrosal nerve

Explanation: Greater petrosal nerve arises from geniculate ganglion Ref: Dhingra 6th edition pg. 90